All the veins in the following drain to a Common structure except
1. Great cardiac Vein
2. Anterior cardiac Vein
3. Middle cardiac Vein
4. Vein of Marshall

Correct answer: 2. Anterior cardiac Vein

Explanation: Anterior cardiac Veins directly drain into left atrium, rest all drain to Coronary sinus.